Safety pin appearance is seen in -
1. Vibrio vulnificus
2. Vibrio parahemolyticus
3. Pseudomonas aeuroginosa
4. H. influenzae

Correct answer: 2. Vibrio parahemolyticus

Explanation: Ans. is 'b' i.e., Vibrio parahemolyticus Bipolar staining (safety pin appearance)o Some bacteria display a safety pin appearance due to the accumulation of dye at the poles of the cells,o This characteristic is called bipolar staining.o Bacteria showing bipolar staining are-1. Caiymmatobacter granulomatis (Donovani granuiomads)2. Pseudomonas mallei3. Pseudomonas pseudomallei4. Vibrio parahemolyticus5. Yersinia pestis6. H. ducreyi